Critically ill patient recovering from a surgery develops right upper quadrant pain. What is the probable diagnosis
1. calculous cholecystitis
2. Acalculous cholecystitis
3. Empyema of gallbladder
4. Porcelain gallbladder.

Correct answer: 2. Acalculous cholecystitis

Explanation: Acalculous cholecystitis is found in critically ill patients and patients recovering from major surgery, trauma and burns.